Which of the following statements about the fluoroquinolones is FALSE?
1. Gonococcal resistance to fluoroquinolones may involve changes in DNA gyrase
2. Modification of fluoroquinolones dosage is required in patients if creatinine clearance is less than 50 mL/min
3. A fluoroquinolone is the drug of choice for treatment of an uncomplicated urinary tract infection in a 7 year-old girl
4. Fluoroquinolones inhibit relaxation of positively supercoiled DNA

Correct answer: 3. A fluoroquinolone is the drug of choice for treatment of an uncomplicated urinary tract infection in a 7 year-old girl

Explanation: * Fluoroquinolones are contra-indicated in children (due to risk of cartilage damage) and pregnant female. * Most common mode of resistance to fluoroquinolones is mutation in DNA gyrase. * Dose of fluoroquinolones should be adjusted in renal failure (except moxifloxacin and trovafloxacin). * These drugs act by inhibiting DNA gyrase.